A multipara with previous LSCS comes at 38 weeks pregnancy in shock. Differential diagnosis includes:
1. Placenta previa
2. Abruptio placenta
3. Rupture uterus
4. All of the above

Correct answer: 4. All of the above

Explanation: Shock in Obstetrics:
Causes of shock during pregnancy